The advantage of LSCS are all EXCEPT:
1. Lateral extension
2. Less blood loss
3. Minimal wound hematoma
4. Less chance of gutter formation

Correct answer: 1. Lateral extension

Explanation: ANSWER: (A) Lateral extension REF: Dutta 6th ed p. 595 ADVANTAGES OF LSCS Less blood loss Perfect apposition Less peritoneal infections Less morbid Better apposition of margins Minimal wound hematoma Less chance of gutter formation 8, Lateral extension of the incision leading to hemorrhage is a complication or disadvantage of LSCS